Which of the following is an absolute CONTRAINDICATION to OCP use:
1. Chronic renal disease
2. DVT
3. Diabetes mellitus
4. History of amenorrhea

Correct answer: 2. DVT

Explanation: Ans. B i.e. DVT Contraindications to combined oral contraceptives They are generally accepted to be contraindicated in women with pre-existing cardiovascular disease, in women who have a familial tendency to form blood clots/ thrombosis (such as familial factor V Leiden), women with severe obesity and/or hypercholesterolemia (high cholesterol level), and in smokers over age 40. COCP are also contraindicated for women with liver tumors, hepatic adenoma or severe cirrhosis of the liver, and for those with known or suspected breast cancer.